Which one of the following antibiotics binds sterols and alters membrane permeability?
1. Penicillin
2. Amdinocillin
3. Amphotericin
4. Chloramphenicol

Correct answer: 3. Amphotericin

Explanation: Because amphotericin binds to sterols (such as cholesterol) in the cell membrane, its range of activity is predictable; that is, it is effective against microorganisms that contain sterol in the cell membrane (such as molds, yeasts, and certain amebae). These polyene antibiotics cause reorientation of sterols in the membrane, and membrane structure is altered to the extent that permeability is affected. If sterol synthesis is blocked in fungi, then amphotericin is not effective. This occurs when fungi are exposed to miconazole, another antifungal antibiotic.